All of the following are hypercoagulable conditions EXCEPT
1. AT III deficiency
2. Protein C deficiency
3. Protein S deficiency
4. Anti Lupus anticoagulant deficiency

Correct answer: 4. Anti Lupus anticoagulant deficiency

Explanation: (D) Anti Lupus anticoagulant deficiency # Risk of thromboembolic disease increases when IBD becomes active, and patients may present with deep vein thrombosis, pulmonary embolism, cerebrovascular accidents, and arterial emboli.> Factors responsible for the hypercoagulable state include reactive thrombocytosis; increased levels of fibrinopeptide A, factor V, factor VIII, and fibrinogen; accelerated thromboplastin generation; antithrombin III deficiency secondary to increased gut losses or increased catabolism; and free protein S deficiency.> A spectrum of vasculitides involving small, medium, & large vessels has also been observed in IBD patients